Most commonly involved bone in Paget's disease?
1. Skull
2. Femur
3. Pelvis
4. Vertebrae

Correct answer: 3. Pelvis

Explanation: Ans. is 'c' i.e., Pelvis The pelvis and tibia being the commonest sites, and femur, skull, spine (vertebrae) and clavicle the next commonest.